Placenta previa at 32 weeks, management of choice is :
1. Oxytocin IN
2. Ergometrine I/V
3. Conservative treatment
4. PN examination & ARM

Correct answer: 3. Conservative treatment

Explanation: Conservative treatment